Over-inflation of the lung is prevented by?
1. Chemo-receptor
2. Hering- Breuer reflex
3. Surfactant
4. Clara cells

Correct answer: 2. Hering- Breuer reflex

Explanation: • Hering- Breuer reflex is reflex triggered to prevent over inflation of lung.
• Smooth muscles of the lung have pulmonary stretch receptors which respond to excessive stretching of the lung during large inspirations.
• The reflex limits the tidal volume while increasing the respiratory frequency
• Hering Breuer inflation reflex increases in duration of expiration produced by steady lung inflation.
• Hering breur deflation reflex is a decrease in the duration of expiration produced by steady lung deflation.
• Surfactant prevents the collapse of the lung.